Compression of which of the following structure result in pseudoclaudication?
1. Femoral artery
2. Femoral nerve
3. Cauda Equina
4. Popliteal artery

Correct answer: 3. Cauda Equina

Explanation: Pseudoclaudication is the classic symptom of lumbar spinal stenosis. It can occur either due to any activity or position involving extension of the lumbar spine termed as postural cauda equina claudication or after exercise termed as ischemic cauda equina claudication. Pseudoclaudication refers to a cramp-like pain felt in the muscles that is brought on by walking and is relieved by standing still. It is not present on taking the first step and the distance walked is called the claudication distance. The pain of claudication is most commonly felt in the calf, but can affect the thigh or buttock. Ref: Bailey and Love's Short Practice of Surgery, 24th Edition, Page 920; Clinical Neurology of the Older Adult By Joseph I. Sirven, 2nd Edition, Page 508.